DPP-IV inhibitor that can be used in renal failure is:
1. Linagliptin
2. Sitagliptin
3. Vildagliptin
4. Sexagliptin

Correct answer: 1. Linagliptin

Explanation: Alogliptin, linagliptin, saxagliptin and sitagliptin are orally active dipeptidyl peptidase-4 (DPP-4) inhibitors used for the treatment of type 2 diabetes. Mechanism of action: These drugs inhibit the enzyme DPP-4, which is responsible for the inactivation of incretin hormones such as GLP-1. Prolonging the activity of Incretin hormones increases insulin release in response to meals and reduces inappropriate secretion of glucagon. These drugs are avoided in renal failure except linagliptin which can be use in renal failure.